What is the thickness of the layer of prismless enamel found in primary teeth?
1. 25 μm
2. 50 μm
3. 75 μm
4. 100 μm

Correct answer: 1. 25 μm